Which of the adult skeletal remains is the best for identification of the sex?
1. Pelvis
2. Skull
3. Long bones
4. Sternum

Correct answer: 1. Pelvis

Explanation: Accuracy of sexing adult skeletal remains is as given below: Entire skeleton - 100% Pelvis + skull - 98% Pelvis alone - 95% Skull alone - 90% Long bones alone - 80% Ref: Essentials of Forensic Medicine and Toxicology by Narayan Reddy, 21st Edition, Page 55.